Which of the following malignant tumors is radioresistant -
1. Ewing's sarcoma
2. Retinoblastoma
3. Osteosarcoma
4. Neuroblastoma

Correct answer: 3. Osteosarcoma

Explanation: Osteosarcoma is highly radio resistant.